Hirustism may be found in any of these disorders, except-
1. Cushing's syndrome
2. Hypothyroidism
3. Congenital adrenal hyperplasia
4. Polycystic ovarian syndrome

Correct answer: 2. Hypothyroidism

Explanation: Hirsutism refers to the excessive growth of thick terminal hair in an androgen-dependent distribution in women (upper lip, chin, chest, back, lower abdomen, thigh, forearm).It is due to androgen excess and is seen in the follwing conditions: *Idiopathic *Polycystic ovarian syndrome *Congenital adrenal hyperplasia (95% 21- hydroxylase deficiency) *Exogenous androgen administration *Androgen- secreting tumour of ovary or adrenal cortex *Cushing's syndrome Reference : page 763 Davidson's Principles and practice of Medicine 22nd edition